Respiratory obstruction in comatose patients is usually due to
1. Presence of airway
2. Presence of Ryle's tube
3. Tracheostomy
4. Falling back of tongue

Correct answer: 4. Falling back of tongue

Explanation: (D) Falling back of tongue# Falling back of tongue results the Respiratory obstruction in comatose patients